Which of the following is wrong regarding ophthalmic artery -
1. Present in dura along with optic nerve
2. Supplies anterior ethmoidal sinus
3. Artery to retina is end artery
4. Leaves orbit through inferior orbital fissure

Correct answer: 4. Leaves orbit through inferior orbital fissure

Explanation: Ans. is 'd' i.e., Leaves orbit through inferior orbital fissure OPHTHALMIC ARTERYOrigino The ophthalmic artery is a branch of the cerebral part of the internal carotid artery, given off medial to the anterior clinoid process close to the optic canal.Course and relationsThe artery enters the orbit through the optic canal, lying inferolateral to the optic nerve. Both the artery and nerve lie in a common dural sheath.In the orbit, the artery pierces the dura mater, ascends over the lateral side of the optic nerve, and crosses above the nerve from lateral to medial side along with the nasociliary nerve. It then runs forwards along the medial wall of the orbit between the superior oblique and the medial rectus muscles, and parallel to the nasociliary' nerve.It terminates near the medial angle of the eye by dividing into the supratrochlear and dorsal nasal branches.Brancheso Ophthalmic artery' gives following branches :Central artery of retina. Lacrimal artery :-It gives following branches :Lateral palpebral branch.ZygomaticotemporalZygomaticofacialRecurrent meningealMeningealCiliaryAnterior ethmoidalPosterior ethmoidalMedial palpebralSupratrochlearSupraorbitalDorsal nasalo Ophthalmic artery is the first and most important branch. It is an end artery'.